Acceptable ontraceptive for lactating mother are all except :
1. Barrier method
2. Combined OCP
3. Lactational amenorrhoea
4. Progesterone only pill

Correct answer: 2. Combined OCP

Explanation: In breastfeeding women the POP has no adverse effect on the volume or composition of milk. TEXTBOOK OF GYNECOLOGY SHEILA BALAKRISHNAN SECOND EDITION PAGE NO 370